Kartagener syndrome is not associated with?
1. Situs inversus
2. Subluxation of lens
3. Bronchiectasis
4. Sinusitis

Correct answer: 2. Subluxation of lens

Explanation: Kartagener syndrome /Immotile cilia syndrome is a AR genetic disorder that causes a defect in action of cilia . Triad includes Bronchiectasis , sinusitis and situs inversus. In males it leads to immotility of sperms causing infertility . There is also marked reduction in fertility in female sufferers. There is also impaired ciliary function leading to reduced mucus clearance from lungs and susceptibility to chronic recurrent respiratory infections .